Serological testing of patient shows HBsAg, IgM anti-HBc and HBeAg positive. The patient has -
1. Chronic hepatitis B with low infectivity
2. Acute hepatitis B with high infectivity
3. Chronic hepatitis with high infectivity
4. Acute on chronic hepatitis

Correct answer: 2. Acute hepatitis B with high infectivity

Explanation: Markers elevated in Acute hepatitis B with high infectivity- HBsAg, IgM anti-HBc and HBeAg